Inhibitory postsynaptic potentials (IPSPs) commonly occur at which of the following sites
1. The anterior gray horn of the cord, dorsal root ganglia, and muscle endplates
2. The anterior gray horn of the cord and dorsal root ganglia, but not at muscle endplates
3. The anterior gray horn of the cord, but not at dorsal root ganglia or muscle endplates
4. The anterior gray horn of the cord and muscle endplates, but not at dorsal root ganglia

Correct answer: 3. The anterior gray horn of the cord, but not at dorsal root ganglia or muscle endplates

Explanation: Control of skeletal muscle stimulation occurs at the anterior gray horn in the spinal cord where numerous excitatory postsynaptic potentials (EPSPs) and inhibitory postsynaptic potentials (IPSPs) occur on the alpha motor neurons. The motor neurons cannot inhibit at the neuromuscular junction; they only excite through endplate potentials. There are no synapses at the dorsal root ganglion, just the cell bodies of sensory neurons.